Characteristic of mixed connective-tissue disease are all of the following except:
1. Hypogammaglobulinemia
2. Membranous glomerulonephritis
3. Polyarthritis
4. CNS involvement

Correct answer: 1. Hypogammaglobulinemia

Explanation: Ans. A: Hypogammaglobulinemia Manifestations of mixed connective-tissue disease (MCTD) can be variable. Most patients experience Raynaud phenomenon, arthralgia/arthritis, swollen hands, sclerodactyly or acrosclerosis, and mild myositis. The following may be revealed by history or physical examination: Raynaud phenomenon Arthralgia/ arthritis Esophageal hypomotility Pulmonary dysfunction Swollen hands Myositis Rash Leukopenia Sclerodactyly Pleuritis/ pericarditis Pulmonary hypertension Membranous glomerulonephritis Lab investigations shows features of inflammation with elevated ESR and hypergammaglobulinemia